A new bom presents with discharge of urine from the umbilicus for 3 days. Diagnosis is
1. Meckel's diverticulum
2. Mesenteric cysts
3. Urachal fistula
4. Omphalocele

Correct answer: 3. Urachal fistula

Explanation: (Urachal fistula) (211,1289- B & L 24th) (776- Nelson 18th) (986-Baily 25th)A persistent urachus (Urachal cyst, sinus, patient urachus or diverticulum) is due to failure of closure of the allantoic duct and is associated with bladder outlet obstruction* Patency should be suspected if a clear, light, yellow urine- like fluid is being discharged from the umbilicus* Symptoms include drainage, a mass or cyst, abdominal pain, local erythema or infectionCongenital Omphalocele - is a herniation or protrusion of the abdominal contents into the base of the umbilical cord, the sac is covered with peritoneum without overlying skin.Bleeding from umbilical stump suggests - factor XIII deficiency** (AIIMS - May - 2007)